Flaky paint appearance of skin is seen in?
1. Dermatitis
2. Pellagra
3. Marasmus
4. Kwashiorkor

Correct answer: 4. Kwashiorkor

Explanation: Ans. is 'd' i.e., Kwashiorkor